At the end of the year 1990, the population of primary health centre was 30,000 and there were 120 cases of pulmonary tuberculosis. At the end of the year 1991, the population was 30,600 and 30 new cases were detected and 2 cases had died. Based on this data all of the following rates can be calculated except
1. incidence
2. Prevalence
3. Case fatality
4. Proportional mortality

Correct answer: 4. Proportional mortality

Explanation: Ref: Parks 23rd edition pg 58 Proportional mortality rate from a specific disease = no. of deaths from the specific disease in a yr / total deaths from all causes in that yr x100. Here the denominator is unavailable. So can't be calculated.